Increase in threshold level on applying subthreshold, slowly rising stimulus is k/a
1. Adaptation
2. Accomodation
3. Refractoriness
4. Electrotonus

Correct answer: 2. Accomodation

Explanation: Neural accommodation. Neural accommodation or neuronal accommodation occurs when a neuron or muscle cell is depolarised by slowly rising current (ramp depolarisation) in vitro Ref: guyton and hall textbook of medical physiology 12 edition page number: 543,544,545